Tissue macrophages are called
1. Monocytes
2. Histiocytes
3. Plasma cells
4. Epitheloid cells

Correct answer: 2. Histiocytes

Explanation: Ans. (b) Histiocytes(Ref: Anderson 10th ed pg 583)Macrophages are tissue cells derived from hematopoietic stem cells in the bone marrow and from progenitors in the embryonic yolk sac and fetal liver during early developmentQCirculating cells of this lineage are known as monocytes. Tissue macrophages are called histiocytesActivated macrophages are called epithelioid cells